A child with protein-energy malnutrition is brought to the outpatient department. TRUE about Gomez classification of malnutrition of children is:
1. Weight is compared with height
2. Height is the only parameter
3. Weight is the only parameter
4. It doesn't take account of height and weight

Correct answer: 3. Weight is the only parameter

Explanation: The degree of malnutrition is almost always based on the child's percentage of standard weight for age. The child's weight is compared to that of a normal child (50th percentile) of the same age. It is useful for population screening and public health evaluations. Percent of reference weight for age = ((patient weight)/(weight of normal child of same age)) x 100. According to Gomez classification, Classification Percentage of standard weight for age Normal Grade I (Mild malnutrition) Grade II (Moderate malnutrition) Grade III (Severe malnutrition) >90 75-89.9 60-74.9 <60 Ref: Achars Textbook Of Pediatrics (4Th Edn) By Swarna Rekha Bhat (ed.), Page 46 ; Essence of Paediatrics Prof. MR Khan, Page 72.